A 38-year-old woman, gravida 1, para 0, delivers an appropriate-for-gestational age infant by spontaneous vaginal delivery in the vertex position. The infant is noted to have edematous swelling of the soft tissue of the scalp that crosses the midline. Which of the following is the most likely diagnosis?
1. Cephalohematoma
2. Subcutaneous fat necrosis
3. Fracture of the skull
4. Caput succedaneum

Correct answer: 4. Caput succedaneum

Explanation: - Caput succedaneum is a diffuse swelling of the soft tissues of the scalp. It extends across suture lines, and the edema starts to resolve over the first few days. - Underlying skull fractures not seen in caput succedaneum.These are occasionally associated with cephalohematomas. - The hemorrhages caused by cephalohematomas are subperiosteal; therefore, they are limited to one bone and do not cross suture lines. - Cephalohematomas tend to increase in size over the first few days and resorb in approximately 3 months.